A 30 year old male came with complaint of cough and fever from last 6 weeks. On lab investigations, patient came sputum smear negative and no significant findings were seen on chest X-ray. The consultant is having high suspicion that patient is having TB. What is the next step for managing such a patient?
1. Repeat chest X-ray
2. Do CBNAAT
3. Start ATT
4. Repeat sputum examination

Correct answer: 2. Do CBNAAT

Explanation: When clinical suspicion is high with negative findings on sputum smear examination and CXR, then CB-NAAT is the next diagnostic modality to be done. It detects mycobacterium tuberculosis in the sample. if MTB is positive, we also test for rifampicin senstivity.